Which of the following cranial structures are insensitive to pain
1. Dural sheath surrounding vascular sinuses
2. Choroid plexus
3. Falx cerebri
4. Middle meningeal artery

Correct answer: 2. Choroid plexus

Explanation: The cranium, brain parenchyma, ependymal lining of the ventricles, and choroid plexus are all pain insensitive . Sensitive Insensitive Extracranial Skin, muscles, fasciaBlood vesselsMucosa of sinusesDental structures Skull (except periosteum) Intracranial Large arteries near circle of Willis Parenchyma of brain Large venous sinuses Pia mater, arachnoid mater, parts of duramater Dural arteries and parts of dura Ependyma, choroid plexus Ref - pubmed.com